Insulin release due to closure of K+ channels is seen with ?
1. Nataglinide
2. Acarbose
3. Exenatide
4. Sitagliptin

Correct answer: 1. Nataglinide

Explanation: Ans. is 'a' i.e., Nataglinide "Sulfonylureas and Meglititinides (nonsulfonylureas) are the two classes of Insulin secretogogues stimulate insulin secretion by interacting with the ATP-sensitive potassium channel on the beta cell."